Concerning the gastrointestinal (GI) tract during pregnancy, which of the following is true?
1. Gastric emptying time is increased in each trimester
2. Epulis is a systemic highly vascular swelling of mucosal membranes
3. Gastric emptying time is shortened during labor
4. Pyrosis is caused by reflux of acidic secretions into the lower esophagus

Correct answer: 4. Pyrosis is caused by reflux of acidic secretions into the lower esophagus

Explanation: Heartburn (pyrosis) is the feeling of substernal burning, often radiating to the neck. It is caused by the reflux of acidic (or, rarely, alkaline) material into the esophagus, it is highly specific for gastroesophageal reflux disease. Epulis: A pyogenic granuloma is a common, benign proliferation of connective tissue in response to local trauma or irritation. It occurs primarily on the gingiva. A specific pyogenic granuloma occurring in pregnancy is referred to as a pregnancy tumor. This tumor is benign and usually recurs if removed during pregnancy. If the tumor does not regress 2 to 3 months postpartum, definitive removal is indicated. Ref: Beaudreau R.W. (2011). Chapter 240. Oral and Dental Emergencies. In J.E. Tintinalli, J.S. Stapczynski, D.M. Cline, O.J. Ma, R.K. Cydulka, G.D. Meckler (Eds), Tintinalli's Emergency Medicine: A Comprehensive Study Guide, 7e.